Wallace rule is better known as?
1. Rule of 10% in pheochromocytoma
2. Rule of 90% in pheochromocytoma
3. Rule of 9 in burn assessment
4. None

Correct answer: 3. Rule of 9 in burn assessment

Explanation: Ans. C. Rule of 9 in burn assessmentArea of bodyIn children (Lund and Browder chart)In Adults (Rule of nine: Wallace's formula) 1-4 years5-9 years10-14 yearsAdultHead and Neck1915139Trunk (front)16161618 (Front of chest + abdomen)Trunk back16161618 (Back of chest + abdomen)Upper limbs19191918 (Righ+left upper limbsLower limbs30343536 (Front + back of right and left lower limbs)Genitals0011